Baby with diarrhea presented with restlessness but able to drink water.  Skin turgor goes back in 2 sec. Communicating properly. Best management is:
1. Plan A
2. Plan B
3. Plan C
4. Plan D

Correct answer: 2. Plan B

Explanation: Ref. The Short Textbook of Pediatrics. Pg 554